Complement attaches to immunoglobulin at ?
1. Aminoterminal
2. Fab region
3. Variable region
4. Fc fragment

Correct answer: 4. Fc fragment

Explanation: Ans. is 'd' i.e., Fc fragment . Fc fragment is composed of the carboxyterminal. It determines the biological activity such as complement fixation, placental transfer, skin fixation and catabolic rate. CH-2 of Ig G and CH, of IgM bind to C1q portion of CI.